Which of the following disease in seen only in females?
1. Autism
2. Asperger's syndrome
3. Rett's disease
4. Cotard disease

Correct answer: 3. Rett's disease

Explanation: Rett's syndrome was earlier believed to occur exclusively in females, however of late males with similar presentation have been described. Rett's disorder is characterized by loss of social skills after a period of typical functioning as well as hand-wringing and breathing abnormalities